A drug that blocks the uptake of dopamine and norepinephrine into presynaptic nerve terminals and also blocks sodium channels in the axonal membrane is:
1. Cocaine
2. Ephedrine
3. Imipramine
4. Fluoxetine

Correct answer: 1. Cocaine

Explanation: It is a local anaesthetic agent (acts by inhibiting Na+ channel in the axonal membrane) that also possesses indirect sympathomimetic activity.